Which of the following is used to assess deafness infants?
1. Auditory brainstem response
2. Rinne's Test
3. SISI
4. CALORIE Test

Correct answer: 1. Auditory brainstem response

Explanation: Ans. is 'a' i.e., Auditory brainstem response Tests to assess neonatal hearing lossOtoacoustic emissionsAuditory Brainstem responseAutomated Auditory Brainstem response